Drug of choice in drug-induced parkinsonism is :
1. Levodopa
2. Benzhexol
3. Amantidine
4. Carbidopa

Correct answer: 2. Benzhexol

Explanation: Central anticholinergics like trihexyphenidyl (Benzhexol) are the only drugs effective in drug-induced Parkinsonism.